Which of the following methods of health management is not quantitative ?
1. Economic Analysis
2. Network analysis
3. Information system
4. Work sampling

Correct answer: 3. Information system

Explanation: Management: